Forceps should NOT be used in:
1. Twin delivery
2. Hydrocephalus
3. Post maturity
4. After coming head of breech

Correct answer: 2. Hydrocephalus

Explanation: As discussed previously—
One of the criteria to be fulfilled before applying forceps is—there should be no major cephalopelvic disproportion (CPD) by clinical pelvimetry and hydrocephalus is an important cause of CPD.
Dutta Obs. 7/e, p 352